Sereny test is positive for
1. ETEC
2. EPEC
3. EIEC
4. EAEC

Correct answer: 3. EIEC

Explanation: Sereny's test is positive in EIEC (Enteroinvasive E.coli). Ref: Textbook of microbiology; Ananthanarayan and paniker's; 10th Edition; Pg: 285